Which of the following 5HT3 receptor blockers has highest receptor affinity
1. Ondansetron
2. Granisetron
3. Dolasetron
4. Palonosetron

Correct answer: 4. Palonosetron

Explanation: Palonosetron 5 HT3 subtypes of receptors are important for - Emesis - Gut peristalsis - Bradycardia - Transient hypotension - Apnea - Itch 5 HT3 receptor antagonists are: - Ondensetron - Granisetron - Pahmosetron "Among the 5 HT3 receptor blockers palonosetron is a new i.v. agent that has greatest affinity for 5 HT3 receptor and has a long serum half life".